'Onion peel' appearance on radiograph is seen in:
1. Giant cell tumor
2. Ewing's sarcoma
3. Osteogenic sarcoma
4. Multiple myeloma

Correct answer: 2. Ewing's sarcoma

Explanation: Ans. Ewing's sarcoma